Which of the following is false regarding clavicle?
1. Commonest complication in non union
2. First bone to ossify
3. Membranous ossification
4. Fracture can be treated with figure of 8 bandage

Correct answer: 1. Commonest complication in non union

Explanation: Malunion and not non-union is the common complications of fracture clavicle.